All vaccine reduce pneumonia induced mortality except?
1. Measles
2. Rebella
3. HIB
4. Pneumococcal

Correct answer: 2. Rebella

Explanation: Ans. is `b' i.e., Rebella Measles vaccine, HIB vaccine (Haemophilus influenzee type B), Pneumococcal vaccines work to reduce the incidence of bacterial pneumonia.